Hypersensitivity reactions like contact dermatitis can be caused by
1. polysulfides
2. condensation silicones
3. addition silicones
4. polyether

Correct answer: 4. polyether